All of the following are features of splenic rupture except -
1. Obliteration of psoas shadow
2. Obliteration of splenic outline
3. Elevation of left diaphragm
4. Obliteration of colonic air bubble

Correct answer: 4. Obliteration of colonic air bubble